All of the following statements regarding subendocardial infarction are true except:
1. These are multifocal in nature
2. These often result from hypotension or shock
3. Epicarditis is not seen
4. These may result from aneurysm

Correct answer: 4. These may result from aneurysm

Explanation: Ventricular aneurysms results from transmural infarcts,which involve the whole thickness of myocardium from epicardium to endicardium.subendocardial infarcts being limited to only the inner one third or ate at most half of the ventricular wall donot cause ventricular aneurysms.Aneurysms of the ventricular wall most commonly results from a large transmural anteroseptal infarct. (ref Robbins 9/e p543,7th/575)